Least likely to regress spontaneously is
1. Osteosarcoma
2. Retinoblasoma
3. Choriocarcinoma
4. Malignant melanoma

Correct answer: 1. Osteosarcoma

Explanation: Ans. is 'a' i.e., Osteosarcoma